Medulloblastoma exclusively occurs in the:
1. Medulla
2. Cerebellum
3. Cerebral hemispheres
4. Spinal cord

Correct answer: 2. Cerebellum

Explanation: b. Cerebellum(Ref: Nelson's 20/e p 2458, Ghai 8/e 612-613)Medulloblastoma is a cerebellar tumor occurring predominantly in males and at a median age of 5-7 yr.CT & MRI show a solid, homogeneous, contrast enhancing 4th ventricular obstruction & hydrocephalus.